In DNA, adenine always pairs with -
1. Guanine
2. Cytosine
3. Thymine
4. Uracil

Correct answer: 3. Thymine

Explanation: Ans. is 'c' i.e., Thymineo DNA is the repository of genetic information,o DNA is located in nucleus.o DNA is also present in mitochondria (but less than 0.1% of the total DNA).o Most accepted model for DNA structure is "Watson and Crick" modelQ,o Which was proposed by W atson and Crick in 1953Q.o DNA is a double-stranded molecule.o Each strand is a polymer of nucleotides (deoxyribonucleotides).o Each strand possesses a palority.o It has a 31 end and a 51 end.o The two strands are antiparallelQ, i.e. they are parallel but run in opposite directions,o The sugar of DNA is deoxyribose.o The purine bases in DNA are adenine (A) and Guanine (G) Q, and pyrimidine bases are thymine (T) and cytosine (C) Q.o Uracil (U), a pyrimidine, is not found in DNAQo Between two strands of DNA : The two chains (strands) are held together by hydrogen bondsQ between complementary pairs of bases.o Adenine is alw ays paired w ith thymine by formation of tw o hydrogen bonds and Guanine is alw ays paired with cytosine by formation of three hydrogen bondsQ